Which dissacharies are not broken down in git -
1. Lactulose
2. Maltose
3. Sucrose
4. Lactose

Correct answer: 1. Lactulose

Explanation: Ans. is 'a' i.e., Lactuloseo Maltose is hydrolysed by maltase into two molecules of glucose.o Sucrose is hydrolysed into fructose and glucose by sucrase {an enzyme present in brush border of intestinal epithelium). Lactase is hydrolysed into galactose and glucose by lactase (b-glucosidase). Trehalase hydrolyzes trehelose (a 1:1 a- linked dimer of glucose) into two glucose molecules.